Collecting tubules of human kidney originate from
1. Mesonephros
2. Metanephros
3. Ureteric
4. Mesonephric duct

Correct answer: 3. Ureteric

Explanation: C. i.e. Ureteric bud